Streptococcus causing rheumatic heart disease is ?
1. Streptococcus milleri
2. Streptococcus mutans
3. Streptococcus pyogenes
4. Streptococcus equisimilis

Correct answer: 3. Streptococcus pyogenes

Explanation: Ans. is 'c' i.e., Streptococcus pyogenes